How to differentiate between psychological and organic erectile dysfunction ?
1. Nocturnal penile tumescence
2. PIPE therapy
3. Sildenafil induced erection
4. Squeeze technique

Correct answer: 1. Nocturnal penile tumescence

Explanation: Ans. A. Nocturnal penile tumescenceOne of the important method to distinguish psychogenic impotence from organic imPotence is nocturnal penile tumsescence & early morning erection which are preserved in psychogenic impotence but not in organic cause of impotence.